Mannitol decreases the intraocular pressure by ?
1. Withdrawing water from vitreous
2. Increasing uveoscleral outflow
3. Increasing aqueous through trabecular meshwork
4. Inhibiting the enzyme carbonic anhydrase in the ciliary body

Correct answer: 1. Withdrawing water from vitreous

Explanation: Ans. is 'a' i.e., Withdrawing water from vitreous By osmotic action mannitol encourages movement of water from aqueous humour --> decrease. Mannitol is used in angle closure (narrow angle, acute congestive) glaucoma. Treatment of acute congestive glaucoma o Definitive therapy is surgery (laser iridotomy) Drugs are used to decrease the i.o.t. during an acute attack. o Approch is : Start i.v. mannitol or i.v. acetazolamide When i.o.t. starts falling, start topical pilocarpine or b -blocker (timolol). Apraclonidine/latanoprost may be added. Once i.o.t. is reduced, surgery is done.